Xanthurenic acid in the urine is suggestive of deficiency of which vitamin?
1. Vitamin B6
2. Vitamin B12
3. Folic acid
4. Thiamine

Correct answer: 1. Vitamin B6

Explanation: Xanthurenic acid is formed in the side reaction of kynurenine. Kynurenine which is a intermediate of tryptophan metabolism requires vitamin B6 dependent enzyme kynureinase for its normal metabolism. In pyridoxine(Vit B6) deficiency kynurenine is metabolized to xanthurenic acid which is excreted unchanged in urine. Ref: Textbook of Biochemistry DM Vasudevan, 5th Ed, page 208